The following is the etiological agent of Rocky mountain spotted fever -
1. Rickettsia rickettsii
2. Rochalimaea quintana
3. Rickettsia tsutsugamushi
4. Coxiella burnetii

Correct answer: 1. Rickettsia rickettsii